Corneal lesion seen in Hutchinson triad associated with congenital syphilis is:
1. Disciform keratitis
2. Interstitial keratitis
3. Phylectenular keratitis
4. Mooren ulcer

Correct answer: 2. Interstitial keratitis

Explanation: Ans. B: Interstitial keratitis Hutchinson's triad is named after Sir Jonathan Hutchinson. It is a common pattern of presentation for congenital syphilis, and consists of three phenomena: interstitial keratitis, Hutchinson incisors (notching of the two upper central incisors in the permanent dentition), and eighth nerve deafness